Motor neuropathy is caused by :  a) Dapsone b) Cisplatin c) Arsenic d) Lead e) Hypothyroidism
1. bce
2. bd
3. e
4. acd

Correct answer: 4. acd